Best method of organ removal in autopsy of a HIV case is
1. Letulle's method
2. Ghon's method
3. Rokinansky method
4. Virchow method

Correct answer: 3. Rokinansky method

Explanation: AUTOPSY TECHNIQUES - Virchow's technique: organs removed one by one - Ghon's technique: removed as organ blocks - Letulle's technique: en masse removal - Rokinansky's technique: in situ dissection combined with Enblock removal VIRCHOW'S TECHNIQUE* Individual organs removed one by one* Anatomical relations not preserved GHON'S TECHNIQUE* Organ blocks & organ dissection* Cervical, thoracic, abdominal and urogenital system are removed as organ block (separate blocks) LETTULE'S TECHNIQUE* Cervical, thoracic, abdominal & pelvic organs are removed as en-masse (all together) & organ dissection* Anatomical relationships preserved* Rapid technique ROKITANSKY'S TECHNIQUE* In-situ dissection of organs* Fetal brain dissection* Infectious diseases like HIV, Hepatitis B* Radiation hazards